In all of the following conditions Troponin-T is preferable to CPK-MB in the diagnosis of acute myocardial infarction (MI) except in diagnosing:
1. Small infarcts
2. Bedside diagnosis of MI
3. Postoperative infarct (after CABG)
4. Reinfarction after 4 days

Correct answer: 4. Reinfarction after 4 days

Explanation: Troponin-T levels remain elevated for 10 days following myocardial infarction so it cannot be used to assess reinfarction 4 days after an acute MI. The amino acid sequence of cardiac-specific troponin I and T are different from skeletal muscle forms of these proteins. It is the preferred biochemical marker for myocardial infarction. It is useful in diagnosing small infarcts and to distinguish unstable angina from NSTEMI. Levels of cTnI and cTnT remain elevated for 7-10 days following STEMI. Ref: Harrison's Internal Medicine, 18th Edition, Chapter 245